Gluteus medius is supplied by:
1. Superior gluteal nerve
2. Inferior gluteal nerve
3. Nerve to obturator internus
4. Nerve to quadratus femoris

Correct answer: 1. Superior gluteal nerve

Explanation: Ans. A Superior gluteal nerveGluteus medius and minimus are supplied by superior gluteal nerve whereas gluteus maximus is supplied by inferior gluteal nerve.Extra MileImportant muscles and their nerve supplyNerve supplyMuscle* Superior gluteal nerve* Gluteus medius* Gluteus minimus* Tensor fascia lata* Inferior gluteal nerve* Gluteus maximus* Nerve to obturator internus* Obturator internus* Gamellus superior* Nerve to quadratus femoris* Gamellus inferior* Quadratus femoris